True about Todani's modification of Alonso-Lej classification include the following except
1. TypeI - Saccular dilation of common bile duct
2. Type II - Diverticulum of Supra duodenal bile duct
3. Type IVA--Choledochocele
4. Type IVB- Multiple Saccular dilation of extrahepatic ducts only

Correct answer: 3. Type IVA--Choledochocele

Explanation: Todani Modification of Alonso-Lej classification Type I - Dilation of extrahepatic biliary tree Type Ia- cystic dilation Type Ib - focal segmental dilation Type Ic- fusiform dilation Type II - Diverticular dilation of extrahepatic biliary tree Type III - Cystic dilation of intra duodenal portion of common bile ducts (choledochocele) Type IVA- Dilation of the extrahepatic and intrahepatic biliary tree Type IVB- Dilation of multiple secretion of extrahepatic bile ducts Type V - Dilation confined to intrahepatic bile ducts (caroli's disease) Type VI - Cystic dilation of cystic duct (not included in Todani's modification) Ref: Sabiston 20th edition Pgno :1510-1511